In molecular biological methods in endodontics, the process of annealing the complementary bases of two single stranded DNA is known as
1. DNA-DNA micro processing
2. DNA-DNA processing
3. DNA-DNA hybridization
4. DNA-DNA coupling

Correct answer: 3. DNA-DNA hybridization